Maximum incidence of impotence is seen with which of the following ant-hypeensive agent?
1. CCBs
2. Beta Blockers
3. ARBs
4. ACE inhibitors

Correct answer: 2. Beta Blockers

Explanation: Impotence and erectile dysfunction disorders are seen with the usage of beta-blockers and thiazide diuretics among antihypertensives. ARBs, CCBs are v v rarely involved in producing sexual dysfunctions among antihypertensive drugs. ESSENTIALS OF PHARMACOLOGY 6 TH EDITION PG NO: 139